Which of the following is NOT a second generation antihistaminic ?
1. Cyclizine
2. Fexofenadine
3. Loratadine
4. Acrivastine

Correct answer: 1. Cyclizine